Treatment of red degeneration of fibroid in pregnancy:
1. Analgesics
2. Laparotomy
3. Termination of pregnancy
4. Removal at cesarean section

Correct answer: 1. Analgesics

Explanation: Ans. is a, i.e. AnalgesicsRef. Shaw 14/e, p 326; Dutta Obs. 6/e, p 309; Jeff coate 7/e, p 502Management of Red degeneration of fibroid.Patient is managed conservatively QPatient is put to bed rest and given analgesics Q (to relieve the pain), sedatives Q and, if required antibiotics QIf because of mistaken diagnosis laparotomy is done, abdomen is closed without doing anythingMyomectomy should never be contemplated during caesarean section as vascularity of fibroid is increased during pregnancy (due to increased estrogen) leading to increased blood loss during cesarean section. Q